Chemical waste disposal under Biomedical waste management guidelines is:
1. Incineration
2. Autoclaving
3. Microwaving
4. Recycling

Correct answer: 1. Incineration

Explanation: - Chemical BMW waste disposal is in yellow category : done by Incineration, Plasma pyrolysis, Encapsulation - Also remember, dead fetus below the age of viability is considered as human anatomical waste & should be disposed through yellow bag, by deep burial. - Radiological waste covered under Atomic energy act 1962, doesn't come under biomedical waste